Equatorial diameter of the lens is-
1. 7mm
2. 8mm
3. 9mm
4. 10mm

Correct answer: 4. 10mm

Explanation: Equatorial diameter of lens is 10mm. Ref: Foster 2nd/e p.1912.